Investigation of choice for ureteric stones for ureteric stone
1. CT scan
2. USG
3. MIBG scan
4. DMSA scan

Correct answer: 1. CT scan

Explanation: Ans. is `a' i.e., CT scan CT scan has become the diagnosis of choice for ureteric stones The "gold standars" diagnostic test is holical CT without contrast. All of routine methods have become less usefull with the advent of more sensitive and specific nonenhanced computed tomography (CT) scanning. When CT is available, it is now considered the examination of choice for the detection and localization of urinary stones